Difficulty in laryngoscopy and intubation is seen in all except:
1. Cervical joint immobility
2. Modified mallampati class 2
3. Upper lip bite test negative.
4. Interincisor gap of <3cm

Correct answer: 2. Modified mallampati class 2

Explanation: Modified mallampati classification 1 and 2 no difficulty Modified mallampati classification 3 and 4 difficulty in intubation. Mallampati classification - Standard for assessing the relationship of the tongue size relative to oral cavity. Rest all are predictors of difficult airway 1. Interincisor gap of <3 indicates inadequate mouth opening. 2. Upper lip bit test negative again predictor of difficult airway 3. Cervical joint immobility indicates difficulty in positioning.